Increased proliferation of cells is called:
1. Hypertrophy
2. Atrophy
3. Hyperplasia
4. Metaplasia

Correct answer: 3. Hyperplasia